The ICDS scheme includes children upto ____ years of age -
1. 6
2. 10
3. 4
4. 8

Correct answer: 1. 6

Explanation: The objective of ICDS is to improve nutritional and health status of children in the age group 0-6 years.REF.PARK'S TEXTBOOK OF PREVENTIVE AND SOCIAL MEDICINE.Editon-21.Page no.-544